Substrate level phosphorylation is catalysed by
1. Succinate dehydrogenase
2. Pyruvate kinase
3. Malate dehydrogenase
4. Acetyl CoA carboxylase

Correct answer: 2. Pyruvate kinase

Explanation: In glycolysis, The enzyme pyruvate kinase transfers a P from phosphoenolpyruvate (PEP) to ADP to form pyruvic acid and ATP Result in step 10. Details: The final step of glycolysis converts phosphoenolpyruvate into pyruvate with the help of the enzyme pyruvate kinase. As the enzyme's name suggests, this reaction involves the transfer of a phosphate group. The phosphate group attached to the 2' carbon of the PEP is transferred to a molecule of ADP, yielding ATP. Again, since there are two molecules of PEP, here we actually generate 2 ATP molecules.Ref: DM Vasudevan, 7th edition, page no: 111